Universal finding is asthma is -
1. Hypoxia
2. Hypercarbia
3. Respiratory acidosis
4. Metabolic acidosis

Correct answer: 1. Hypoxia